Secukinumab is
1. Anti IL 1
2. Anti IL 6
3. Anti IL 17
4. Anti IL 23

Correct answer: 3. Anti IL 17

Explanation: Ustekinumab (anti-IL-12/23) and secukinumab (anti-IL-17) monoclonal antibodies have shown promising efficacy in clinical trials, but have not yet been approved for use in Ankylosing Spondylitis. Reference: Harrison's Principles of Internal Medicine; kd tripathi 9th ed